Alpha-1-antitrypsin deficiency occurs in
1. Bronchiectasis
2. Emphysema
3. Empyema
4. Bronchogenic carcinoma

Correct answer: 2. Emphysema

Explanation: • Alpha 1 anti trypsin deficiency is associated with panacinar emphysema.